Cadaveric spasm occurs:
1. Immediately after death
2. Within 2 hours
3. Within 6 hours
4. Within 12 hours

Correct answer: 1. Immediately after death

Explanation: Ans: a (Immediately after death)Ref: Reddy 29th ed. R146 Also refer Q 112 Kerala 2007, Q 151 Kerala 2008Cadaveric spasm is found in muscles contracted at the time of death which becomes stiff immediately without passing into the stage of primary relaxation.Cadaveric spasmSynonyms include instantaneous rigor, cataleptic rigidity, and instantaneous rigidityCadaveric spasm may affect all muscles in the body, but typically only groups, such as the forearms, or hands. Cadaveric spasm often crystallizes the last activity one did prior to death and is therefore significant in forensic investigations, e.g. holding onto a knife tightly.Rigor mortis - Starts within 1 hr. Fully develops by 6 hrs. Remains for 6-8 hrs. Starts disappearing after 18hrs. Completely disappears by 24 - 36 hrs.Rigor mortis starts first in the heart (1 hr). It then appears in the eyelid within 2 hrs. Rigor mortis is due to decreased ATRPutrefaction - Starts by 12 - 24 hrs but in summer it may start as early as 6 hrs.1. External sign of putrefaction - greenish discolouration of skin over the region of caecum. Internally putrefaction is seen on the undersurface of liver.Marbling - 24 - 36 hrs -Maggots appear after 48 hrs -Liquefaction - after 5 -12 hrs -Bone destruction -Uncoffined: 1 yrCoffined: 3 - 10 yrsCompleted by: 25 yrs